Infertility is a common feature of sertoli cell only syndrome because:
1. Too many sertoli cells inhibit spermatogenesis inhibin
2. Proper blood testis barrier is not established
3. There is no germ cells in this condition
4. Sufficient numbers of spermatozoa are not produced

Correct answer: 3. There is no germ cells in this condition

Explanation: SCOS ( Sertoli cell only syndrome ) aka Germ cell aplasia in which the seminiferous tubules are populated by only Sertoli cells may show some thickening of the tubular basement membrane; germ cells are completely absent. Leydig cells are usually normal but on occasion are found to be reduced in size and number. Biopsy specimens from infertile men with total lack of spermatozoa (azoospermia) usually show one of the following conditions: Germ cell aplasia (Sertoli cell-only syndrome) (29%) Spermatocytic arrest (26%) Generalized fibrosis (18%) Normal spermatogenesis (27%)